Most rigid elastomer is
1. Polyether
2. Polysulphide
3. Addition silicone
4. Condensation silicone

Correct answer: 1. Polyether